Which of the following anti platelet drug is a prodrug
1. Clopidogril
2. Tirofiban
3. Aspirin
4. Dipyramidole

Correct answer: 1. Clopidogril

Explanation: ADP receptors antagonist ,tiplodine and clopidogril are prodrugs Refer kDT 6/e,p605